Possible mechanisms causing pain in patients with endometriosis include all except
1. Local peritoneal inflammation
2. Deep infiltration with tissue damage
3. Collection of shed menstrual blood in endometriotic implants
4. Septic seeding of the endometriotic implants

Correct answer: 4. Septic seeding of the endometriotic implants

Explanation: Possible mechanisms causing pain in patients with endometriosis include:- Local peritoneal inflammation, Deep infiltration with tissue damage, Adhesion formation, Fibrotic thickening, Collection of shed menstrual blood in endometriotic implants, resulting in painful traction with the physiologic movement of tissues.